Which of the following is true about chondrosarcoma?
1. The peak incidence is between 10 and 20 years
2. It usually presents as a juxtacortical lesion
3. The short bones of the extremities are the most common site
4. A slow growth rate is typical

Correct answer: 4. A slow growth rate is typical

Explanation: CHONDROSARCOMA : Chondrosarcoma originates from remnants of cartilage within bones and most often involves the deeper portions of the pelvic bones of middle-aged or older people. It may arise in long bones, but the short bones of the hand and foot are rarely involved. The tumor is composed of malignant cartilage cells showing different degrees of maturation. Chondrosarcomas usually grow slowly. Ref: Maheshwari 9TH pg 246.